Which of the following histopathological findings is most commonly associated with COVID-19?
1. Pulmonary fibrosis
2. Massive pulmonary hemorrhage
3. Diffuse alveolar damage
4. Changes of pulmonary arterial hypertension

Correct answer: 3. Diffuse alveolar damage

Explanation: COVID-19 Causes by novel coronavirus SARS-CoV-2 The genomic sequence shows COVID-19 is related to bat coronaviruses and the SARS coronavirus. The clinical manifestations ranged from mild to severe respiratory illness. The vast majority of individuals who contract the virus recover after a flu-like disease. Severe and sometimes fatal illness with respiratory compromise, often associated with bilateral ground-glass opacities on chest imaging, occurs mainly in older individuals and those with comorbidities such as diabetes, COPD, etc. Histologic analysis of lung tissue revealed diffuse alveolar damage and inflammation with mainly mononuclear cells. Pulmonary fibrosis and pulmonary arterial hypertension are usually seen in chronic lung diseases.